Sarcoidosis is least likely to be associated with:
1. Uveitis
2. Pericardial effusion
3. Erythema nodosum
4. Lymphadenopathy

Correct answer: 2. Pericardial effusion

Explanation: Sarcoidosis: Lungs- bilateral hilar lymphadenopathy, peribronchial thickening and nodular changes. Non-caseating granulomas in eye, parotid gland, lymph nodes, liver, spleen and lymph nodes. Cutaneous symptoms- rashes, nodules to erythema nodosum, granuloma annulare or lupus pernio